Chocolate agar is an example of?
1. Enriched medium
2. Enrichment medium
3. Selective medium
4. Transport medium

Correct answer: 1. Enriched medium

Explanation: Ans. (a) Enriched mediumRef: Appendix-82 for "Categories of artificial media